In vision 2020 of NPCB, center of excellence are-
1. 20000
2. 2000
3. 200
4. 20

Correct answer: 4. 20

Explanation: Ans. is 'd' i.e., 20 o 'Vision 2020: The Right to Sight', is a global initiative launched by WHO in 1999 in a broad coalition with a 'Task Force of International Non-Governmental Organisations (NGOs)' to combat the gigantic problem of blindness in the world.o Objective of vision 2020. Objective is to eliminate avoidable blindness by the year 2020 and to reduce the global burden of blindness.o Government of India has adopted 'Vision 2020: Right to Sight' under National Programme for Control of Blindness.o Based on the recommendations of WHO. there is need to develop the infrastructure pyramid wrhich includesPrimary level Vision CentresThere is a need to develop 20000 vision centres,y Each with one Ophthalmic Assistant or equivalent (Community based MLOP)y Covering a population of 50000.Service Centres.There is need to develop 2000 service centres at secondary# level.Each with two ophthalmologists and 8 paramedics (Hospital based MLOP), and one eye care manager,Covering a population of 5 lacs.Training CentresThere is a need to develop 200 "Training Centres' for the training of Ophthalmologists.Covering a population of 50 lacs.Centre of Excellence (COE)There is need to develop 20 COE with well de\>eloped all sub specialities of Ophthalmology\Covering a population of 5 crores.The infrastructure for Vision 2020